Consanguinity is seen with which pattern of inheritance?
1. AR
2. AD
3. XLR
4. XLD

Correct answer: 1. AR

Explanation: Ref: Robbins E-Book, P 246* Marriage amongst cousins/close relatives is called as consanguinity.* The high consanguinity rates, could induce the expression of autosomal recessive diseases, including very rare or new syndromes.